Cholesterol level for prevention of coronary artery disease -
1. <250 mg/dl
2. < 220 mg/d1
3. <300 mg/dl
4. 200 mg/dl

Correct answer: 4. 200 mg/dl